The most common type of cerebral palsy is?
1. Spastic
2. Atonic
3. Extrapyramidal
4. Mixed

Correct answer: 1. Spastic

Explanation: a. Spastic(Ref: Nelson's 20/e p 2896-2899; Ghai 8/e p 581-583)Most common type of cerebral palsy is spastic diplegia in 35% cases, followed by Hemiplegia in 25% casesSpastic quadriplegia is the most severe form of CP because of marked motor impairment of all extremities and the high association with intellectual disability and seizures.